Which of the following is not a complication of oropharyngeal resection?
1. Xerostomia
2. Thoracic duct injury
3. Soft-tissue oedema
4. Rupture of carotid artery

Correct answer: 1. Xerostomia

Explanation: Xerostomia is dryness of the mouth associated with radiotherapy to the head and neck that involved the salivary glands.